Zero order kinetics is independent of:
1. Plasma concentration
2. Clearance
3. Volume of distribution
4. Half life

Correct answer: 1. Plasma concentration

Explanation: Plasma concentration REF: Katzung's pharmacology 10th edition page 38 See APPENDIX-33 for 'Chemical kinetics of drugs" Drugs may follow zero order, first order or second order kinetics. It depends on following formula: Rate of elimination a degr`l" Thus for zero order kinetics, rate of elimination is independent of plasma concentration.